Best monitoring of progress of labor is done by
1. Partogram
2. Bishops score
3. Manning score
4. Regular vaginal examination

Correct answer: 1. Partogram